15/F complains of anterior knee pain, increased on climbing stairs and getting up after prolonged sitting. Diagnosis is:
1. Chondromalacia patellae
2. Bipartite patellae
3. Plica syndrome
4. Patellofemoral arthritis

Correct answer: 1. Chondromalacia patellae

Explanation: Given scenario suggests diagnosis of Chondromalacia patellae Plica syndrome- anterior knee pain, clicking, clunking, and a popping sensation on patellofemoral loading activity such as squatting Patellofemoral arthritis will be seen at a later age and will have pain in all movements of knee. Bipartite patella is congenital fragmentation of patella and is usually asymptomatic.